Dietary supplement alone can not compensate for the increased requirement of which nutrient in pregnant women :
1. Iron
2. Iodine
3. Magnesium
4. Calcium

Correct answer: 1. Iron

Explanation: Iron